The pathogenesis hypochromic anemia in lead poisoningis due to :
1. Inhibition of enzymes involved in hemebiosynthesis.
2. Binding of lead to transferrin, inhibiting thetranspo of iron.
3. Binding of lead to cell membrane of erythroidprecursors
4. B inding of lead to ferritin inhibiting their breakdowninto hemosiderin

Correct answer: 1. Inhibition of enzymes involved in hemebiosynthesis.

Explanation: . Inhibition of enzymes involved in hemebiosynthesis.